Fibers most susceptible to hypoxia are
1. A
2. B
3. C
4. D

Correct answer: 2. B